In chronic diabetics the value of TG and VLDL are more because
1. Increased in activity of hepatic lipase
2. Increase in peripheral function of LDL receptors
3. Increased activity of lipoprotein lipase and decreased activity of hormone sensitive lipase
4. Increased activity of hormone sensitive lipase and decreased lipoprotein lipase activity

Correct answer: 4. Increased activity of hormone sensitive lipase and decreased lipoprotein lipase activity

Explanation: Insulin Activates Lipoprotein lipase Inhibits Hormone sensitive lipase (HSL) In diabetic condition opposite will occur, i.e. Increased activity of hormone sensitive lipase and decreased lipoprotein lipase activity. Increased activity of hormone sensitive lipase Catabolic activity of Fatty acid in Blood